Sandfly transmits – a)  Kala-azarb)  Oriental sorec)  Relapsing feverd)  Oraya fevere) Sleeping sickness
1. abd
2. bcd
3. abc
4. ab

Correct answer: 1. abd